In Werner Syndrome, the most common site of Gastrinoma is?
1. Pancreas
2. Stomach
3. Small Intestine
4. Colon

Correct answer: 3. Small Intestine

Explanation: "Gastrinomas are either associated with MEN I syndrome (30%) or sporadic (70%). Duodenal gastrinomas is the most frequent site for both the forms”
Most gastrinomas (50-70%) are present in the duodenum, followed by the pancreas (20-40%) and other intraabdominal sites (mesentery, lymph nodes, biliary tract, liver, stomach, ovary). Three cases with two extra abdominal sites have been described: gastrinomas of the left ventricular septum of the heart and non-small cell lung cancer. In MEN-1, the gastrinomas are also usually in the duodenum (70-90%) or the pancreas (10-30%), and they are almost always multiple.